A highest level of zinc is found in?
1. Prostate
2. Skin
3. Hair
4. Bone

Correct answer: 1. Prostate

Explanation: ANSWER: (A) ProstateREF: Trace element analysis in biological specimens by R. F. M. Herber, Markus Stoeppler page 551TissueMean concentration of ZincAdrenal43.2Bone94Brain39Heart87Skin25Prostate243Muscle200Liver169Kidney188